All are characteristics of Antemortem wound EXCEPT
1. Gaping of wound
2. Infiltration of tissue and increased Serotonin
3. Presence of vital reaction
4. Chicken fat clot

Correct answer: 4. Chicken fat clot

Explanation: D i.e. Chicken fat clot